Most common chromosomal syndrome is-
1. Fragile X syndrome
2. Trisomy 17
3. Trisomy 21
4. Trisomy 13

Correct answer: 3. Trisomy 21

Explanation: Down syndrome or trisomy 21 is the most common chromosomal anomaly.